The calorie content (per 100 ml) of term human milk is:
1. 67
2. 77
3. 87
4. 97

Correct answer: 1. 67

Explanation: Ans. A. 67The calorie intake of term human milk is 67calorie/100ml. Other components of term human milk are:Protein: 1.1g/100mlFat: 4.5gm/100ml